Antigenic variation seen in which of the following-
1. Influenza virus
2. Hepatitis virus
3. Yellow fever virus
4. Leptospira

Correct answer: 1. Influenza virus

Explanation: The influenza A virus is unique among the viruses because it is frequently subject to antigenic variation, both major and minor. When there is a sudden complete or major change, it is called a shift, and when the antigenic change is gradual over a period of time, it is called a drift. Ref:PARK'S TEXTBOOK OF PREVENTIVE AND SOCIAL MEDICINE 23rd edition,Page:154